Malignant prevalence in fibroid is:
1. 0.50%
2. 1%
3. 5%
4. 10%

Correct answer: 1. 0.50%